All of the following are side effects of Amiodarone except -
1. Pulmonary fibrosis
2. Corneal microdeposits
3. Thyroid dysfunction
4. Osteoporosis

Correct answer: 4. Osteoporosis

Explanation: Ans. is 'd' i.e., Osteoporosis Adverse effects of Amiodaroneo Thyroid dysfunction o Peripheral neuropathy o Corneal microdeposits(Hypothyroidism or hyperthyroidism) o Myocardial depression o Photosensitivityo Bluish discoloration of exposed skin. o Pulmonary fibrosis o Hepatitis